It is true regarding Endemic typhus that:
1. Man is the only reservoir of infection
2. Flea is a vector of the disease
3. The rash developing into eschar is a characteristic presentation
4. Culture of the etiological agent in tissue culture is a diagnostic modality.

Correct answer: 2. Flea is a vector of the disease

Explanation: Ans. is 'b' i.e. Flea is a vector of the disease [Ref: Park, 18/e, p 240; CMDT, 2006, /? 73937Endemic or Murine typhus is a rickettsial disease caused by Rickettsia typhi. Rats are the reservoirs of infection and rat fleas are the vectors which transmit the pathogen from rat to rat and rat to man.The transmission of pathogen is not through their bite but through their faecesBelow given is a list of reservoirs and vectors for rickettsial diseases.DiseaseRickettsial PathogenInsect VectorMammalian ReservoirEpidemic (louse-borne) typhusRickettsia prowazekiiLouseHumans, flying squirrelsEndemic (murine) typhusRickettsia typhiFleaRodentsScrub typhusOrientia tsutsugamushiMite1RodentsRocky Mountain spotted feverRickettsia rickettsiiTick1Rodents, dogsIndian tick typhusRickettsia conoriiTick1Rodents, dogsRickettsial poxRickettsia akariMite1MiceTrench feverRochalimaea quintanaLouseHumansQ feverCoxiella burnettiNoneCattle, sheep, goats7 Also serve as arthropod reservoir by maintaining rickettsiae through transovarian transmission.Laboratory diagnosis of endemic typhus and other rickettsial diseases is made by serological tests, detecting specific antibodies against the organism.Eschar at the site of bite is a characteristic feature of scrub typhus.